Which is the most important sign of significance of renal artery stenosis on an angiogram?
1. Presence of collaterals
2. A percentage diameter stenosis > 70%
3. Post-stenotic dilatation of the renal artery
4. A systolic pressure gradient > 20 mm Hg across the lesion

Correct answer: 1. Presence of collaterals

Explanation: The most important sign of significant renal artery stenosis on an angiogram is presence of bridging collaterals. Other signs of hemodynamically significant arterial stenosis are post stenotic dilation, pressure gradient >10mmHg or ipsilateral renal vein renin hypersecretion. Ref: Essentials of Surgery: Scientific Principles and Practice By Lazar J. Greenfield, page 560; Computed Body Tomography With Mri Correlation, Volume 1 By Joseph K. T. Le page 1288